Status epilepticus Drug of choice is
1. Benzodiazepine
2. Valproate
3. Barbiturate
4. Ethosuximide

Correct answer: 1. Benzodiazepine

Explanation: LORAZEPAM iv is considered as the firset drug to be given followed by phenytoin. Ref: KD Tripathi 8th ed.